Conditions that increase aldosterone secretion without affecting glucocorticoid secretion includes :
1. High potassium intake
2. Low Sodium intake
3. Constriction of inferior venacava in thorax
4. All of the above

Correct answer: 4. All of the above

Explanation: Conditions that increase aldosterone secretion.
Glucocorticoid secretion also increased Surgery Anxiety Physical trauma
Hemorrhage Glucocorticoid secretion unaffected High potassium intake Low sodium intake Constriction of inferior vena cava in thorax Standing Secondary hyperaldosteronism (in some cases of congestive heart failure, cirrhosis, and hephrosis)